A patient with hypertension, under control by medication falls under which grade?
1. ASA 1
2. ASA 2
3. ASA 3
4. ASA 4

Correct answer: 2. ASA 2

Explanation: Ans. b. ASA 2 (Ref: Morgan 4/10, Lee's 12/e p7-8)In a patient with mild systemic disease (no functional limitation), ASA grade is 2. So, ASA grade in hypertensive patient whose BP is controlled, is 2.ASA GradingClassFeaturesP1A normal healthy patientP2A patient with mild systemic disease (no functional limitation)QP3A patient with severe systemic disease (some functional limitation)QP4A patient with severe systemic disease that is constant threat to life (Functionality incapacitation)QP5A moribund patientQ who is not expected to survive without operationP6A brain dead patient whose organs are being removed for donor purposesEIf the procedure is an emergency, the physical status is followed by E.